45 yrs old Ramlal has intraabdominal sepsis. The causative organism was found to be vancomycin, gentamycin and ampicillin resistant. It grows well in presence of 6.5% NaCI and arginine. Bile esculin hydrolysis is positive. Which of the following is this organism? -
1. Streptococcus agalactae
2. Enterococcus fecalis
3. Streptococcus bovis
4. Streptococcus pneumoniae

Correct answer: 2. Enterococcus fecalis

Explanation: Ans. is 'b' i.e., Enterococcus fecalis Enterococcus ? It belongs to lancefields's group 'FY streptococci Note - Enterococci grow in the presence of bile and hydrolyze esculine ----> bile esculin positive.